The following is true of Rota virus -
1. Easily grown in cell culture
2. Double stranded DNA
3. Most common cause of diarrheal desease in infants
4. Adult and old people account for 60% of in fection

Correct answer: 3. Most common cause of diarrheal desease in infants

Explanation: roata virus are now rwcoganised as the most common cause of diarrheal desease in infants and children REF:ANANTHANARYANAN TEXT BOOK OF MICROBIOLOGY 9EDITION. PGNO.561